All are true about warfarin, except:
1. It inhibits the activation of vitamin K dependent clotting factors
2. Its half life is 36 hours
3. It can cross placenta
4. Its dose is increased in liver disease

Correct answer: 4. Its dose is increased in liver disease

Explanation: Warfarin is an oral anticoagulant that acts by inhibiting the γ- carboxylation of glutamate residues in vitamin-K dependent clotting factors (II, VII, IX and X).
It has 99% binding to albumin that result in.
Long half-life (t1/2 = 36 hours).
Small volume of distribution.
Lack of urinary excretion of unchanged drug.
It readily crosses the placenta. If given during pregnancy, it can result in 'Contradi syndrome' in the fetus.
The liver disease reduces the synthesis of clotting factors, thus increases the effect of warfarin. The dose of this drug, therefore, needs to be reduced in liver disease.